LH peak occurs how many hours before ovulation -
1. 36-48hrs.
2. 12-24hrs
3. 48-72hrs
4. 72-96hrs

Correct answer: 2. 12-24hrs

Explanation: Events Hours Oestraiol rise 83 Onset of LH surge 34-36 Oestraiol peak 24-36 LH peak 12-24 Progesterone rise 8 Approximate time interval of events in menstrual cycle prior to ovulation